Which of the following structures is not found in parotid gland?
1. ECA
2. Facial nerve
3. Auriculo temporal nerve
4. Buccal branch of mandibular nerve

Correct answer: 4. Buccal branch of mandibular nerve

Explanation: STRUCTURES PRESENT WITHIN THE PAROTID GLAND
Three main structures either in part or in whole traverse the gland and branch within it. From superficial to deep these are:

Facial nerve.
Retromandibular vein.
External carotid artery.

Some members of the deep parotid lymph nodes and filaments of auriculotemporal nerve are also located within the gland.